Which of the following is the most common cause of vitreous hemorrhage in young individuals:
1. Trauma
2. Hypertension
3. Eale's disease
4. Diabetes

Correct answer: 1. Trauma

Explanation: Ans. A: Trauma Vitreous hemorrhage risk factors include Proliferative diabetic retinopathy Branch or central retinal vein occlusion, Retinal tears with or without detachment (especially in high myopia), PVD, and Retinal artery occlusion Trauma is the leading cause of vitreous hemorrhage in young individuals